L.E. cell is a -
1. Lymphocyte
2. Neutrophil
3. Basinophil
4. Eosinophil

Correct answer: 2. Neutrophil

Explanation: Ans. is 'b' i.e., Neutrophil o In SLE, antinuclear antibodies (ANPs) can not penetrate intact cells. o However, nuclei are exposed, ANA can bind to them. o In tissues, nuclei of damaged cells react with ANAs, lose their chromatin pattern, and become homogeneous, to produce lupus - erythematous (LE) bodies or hemotoxylin bodies. o When these LE bodies are engulfed by phagocytic cells (neutrophil or macrophage/monocyte), the phagocytic cells are called LE cells.